A child presents with pigmentation of one half of the face along with a history of multiple episodes of seizures. His X ray skull revealed the following finding. What could be the underlying diagnosis?
1. Cerebral palsy
2. Neurofibromatosis
3. West syndrome
4. Sturge Weber syndrome

Correct answer: 4. Sturge Weber syndrome

Explanation: The given X ray skull shows 'tram track calcification' seen in Sturge Weber syndrome, in which pigmentation of one half of face, along with seizures is seen. STURGE WEBER SYNDROME:- -Port wine stain of face involving the ophthalmic & maxillary division of trigeminal nerve -Contralateral focal seizures seen -Intracranial calcification -Glaucoma